Which of the following is predictor of difficult airway
1. Systemic lupus
2. Systemic sclerosis
3. Sarcoidosis
4. Cystic fibrosis

Correct answer: 2. Systemic sclerosis

Explanation: Systemic sclerosis is associated with difficult airway.